The best investigation for colorectal carcinoma:
1. Exfoliative cytology
2. Air contrast barium enema
3. Ultrasound
4. Colonoscopy and biopsy

Correct answer: 4. Colonoscopy and biopsy

Explanation: Ans: d (Colonoscopy and biopsy)Ref: Bailey & Love, 24,hed, p. 1179 & 23rd ed,p.1051